A patient has a painful ulcer on the tip of his tongue. Which of the following cranial nerves carries the pain sensation he experiences?
1. XII
2. V
3. VII
4. IX

Correct answer: 2. V

Explanation: The innervation of the tongue is complex. The mandibular division of the trigeminal nerve (V3) carries general somatic sensation from the anterior two-thirds of the tongue. The maxillary division carries somatic sensation from the palate, upper gums, and upper lip. The facial nerve carries taste from the anterior two-thirds of the tongue. The glossopharyngeal nerve carries sensation and taste from the posterior one-third of the tongue.